Dose of methotrexate for treatment of rheumatoid arthritis is -
1. 7.5 - 15 mg/week
2. 2.5 - 5 mg/ week
3. 7.5-15 mg/ month
4. 2.5 - 5 mg/ month

Correct answer: 1. 7.5 - 15 mg/week

Explanation: Ans. is 'a' i.e., 7.5 - 15 mg/ week Methotrexate (Mtx) for rheumatoid arthritis* This dihydrofolate reductase inhibitor has prominent immunosuppressant and antiinflammatory property. Beneficial effects in RA are probably related to inhibition of cytokine production, chemotaxis and cell-mediated immune reaction.* Induction of oral low-dose (7.5-15 mg) weekly Mtx regimen has improved acceptability of this drug in RA. Onset of symptom relief is relatively rapid (4-6 weeks), therefore preferred for initial treatment.* Mtx is now the DMARD of first choice and the standard treatment for most patients, including cases of juvenile RA.* Response is more predictable and sustained over long-term.* Combination regimens of 2 or 3 DMARDs include Mtx.